In right middle ear pathology, weber test will be
1. Normal
2. Centralised
3. Deviated to right
4. Deviated to left

Correct answer: 3. Deviated to right

Explanation: Weber`s test lateralizes to the affected ear in a conductive hearing loss and to the normal ear in a sensorineural hearing loss. In case of a middle ear pathology, there is conductive hearing loss and hence weber`s test lateralizes to the affected ear.Weber`s is the most sensitive test, lateralizes even at 5 dB of hearing difference between the two ears.Ref: Hazarika; 3rd ed; Pg 53